Which one of the following surgical procedures is considered to have a clean- contaminated wound?
1. Elective open cholecystectomy for cholelithiasis
2. Herniorrhaphy with mesh repair
3. Lumpectomy with axillary node dissection
4. Appendectomy with walled off abscess

Correct answer: 1. Elective open cholecystectomy for cholelithiasis

Explanation: .Elective open cholecystectomy for cholelithiasis is clean contaminated Hernioplasty and mastectomy or clean Appendicetomy with controlled infection is contaminated,